Most common neuopathy in DM is-
1. Distal symmetric neuropathy
2. Autonomic neuripathy
3. Mononeuropathy
4. Amyotrophy

Correct answer: 1. Distal symmetric neuropathy

Explanation: The most common form of Diabetic neuropathy is distal symmetric polyneuropathy. This is frequently asymptomatic. The most common clinical signs are diminished perception of vibration sensation distally, 'glove-and-stocking' impairment of all other modalities of sensation, and loss of tendon reflexes in the lower limbs. Symptoms include paraesthesiae in the feet and rarely in the hands, pain in the lower limbs dull, aching and/or lancinating, worse at night, and mainly felt on the anterior aspect of the legs, burning sensations in the soles of the feet, cutaneous hyperaesthesia and an abnormal gait. Weakness and atrophy, particularly of the interosseous muscles, may develop leading to structural changes in the foot with loss of lateral and transverse arches, clawing of the toes and exposure of metatarsal heads. Reference : page 2426 Harrison's Principles of Internal Medicine 19th edition and page 832 Davidson's Principles and practice of Medicine 22nd edition